Miliary shadowing on chest radiograph can be seen in all the following except
1. Tuberculosis
2. Sarcoidosis
3. Metastasis
4. Klebsiella pneumonia

Correct answer: 4. Klebsiella pneumonia